True about Levetiracetam is
1. Most useful in Prophylaxis of migraine
2. Poor oral absorption
3. Linear kinetics
4. Extensively metabolized by Cytochrome P450

Correct answer: 3. Linear kinetics